After 5 days of birth, a baby develops poor feeding, fever and convulsions; CSF examination shows low sugar and high proteins. The most likely cause of these symptoms:
1. L. monocytogenes
2. Meningococcus
3. S. pneumonia
4. Leptospira

Correct answer: 1. L. monocytogenes

Explanation: Ans. A. L. monocytogenesThis child has symptoms of meningitis; the most common cause of neonatal meningitis is Group B Streptococcus, and E. coli. Other known causes are Klebsiella, S. aureus, and Listeria.